Contraceptive that should be avoided in epilepsy is:
1. Oral contraceptives
2. Condoms
3. Intrauterine contraceptive devices
4. Post–coital pills

Correct answer: 1. Oral contraceptives